How many permanent teeth will be present in a 8 year old child?
1. 20
2. 24
3. 12
4. 16

Correct answer: 3. 12

Explanation: Permanent teeth erupt in the following order: First molar 6-7 years Central and lateral incisors 6-8 years Canine and premolars 9-12 years Second molar 12-13 years Third molar 18 years or later So at the age of 8 years first molar, central and lateral incisors would have erupted in each quadrant Hence, totally 12 permanent teeth will be present at the age of 8 years